NOT a feature of primary hyperaldosteronism is
1. Pedal edema
2. Diastolic hypertension
3. Polyuria
4. Hypokalemia

Correct answer: 1. Pedal edema

Explanation: Answer is A (Pedal edema): `Patients with primary aldosteronism (Conn's syndrome) characteristically do not have edema since they exhibit an "escape" phenomenon from the sodium retaining aspects of mineralocorticoids'